Organism not invading intact cornea -
1. Gonococci
2. C. diphtheriae
3. Meningococci
4. Pseudomonas

Correct answer: 4. Pseudomonas

Explanation: Following three pathogens can invade the intact corneal epithelium and produce ulceration:Neisseria gonorrhoea,corynebacterium diphtheriae and Neisseria meningitidis. Reference:Comprehensive Ophthalmology,AK Khurana,6th edition,pg no.99